True about "ROM therapy" is -
1. For single lesion
2. Minocycline is used
3. Single dose is given
4. All the above

Correct answer: 4. All the above